Patchy calcification is the x-ray feature of bone tumor
1. Osteosarcoma
2. Chondroblastoma
3. Fibrous dysplasia
4. Osteoclastoma

Correct answer: 2. Chondroblastoma